Lefort-II fracture involves all of the following bones, except:
1. Maxilla
2. Nasal
3. Ethmoidal bone
4. Lacrimal bone

Correct answer: 3. Ethmoidal bone

Explanation: Guerin fracture is other name for Le Fort I or low level fracture.
Le Fort II involves maxilla, nasal, lacrimal bones.
Le Fort III involves maxilla, lacrimal, nasal and ethmoidal bones.